Septum transversum gives rise to which part of diaphragm ?
1. Right crus
2. Left crus
3. Central tendon
4. Peripheral costal portion

Correct answer: 3. Central tendon

Explanation: Central tendon